Dementia of Alzheimer's type is not associated with one of the following
1. Depressive symptoms
2. Delusions
3. Apraxia and aphasia
4. Cerebral infarcts

Correct answer: 4. Cerebral infarcts

Explanation: An estimated 20 to 30 percent of patients with dementia (primarily patients with dementia of the Alzheimer's type) have hallucinations, and 30 to 40 percent have delusions, primarily of a paranoid or persecutory. In addition to psychosis and personality changes, depression and anxiety are major symptoms in an estimated 40 to 50 percent of patients with dementia. In addition to the aphasias in patients with dementia, apraxias and agnosias are common. Other neurological signs that can be associated with dementia are seizures, seen in approximately 10 percent of patients with dementia of the Alzheimer's type. Reference: Kaplan & Sadock's Synopsis of Psychiatry: Behavioral Sciences/Clinical Psychiatry, 11th Edition, page no.713.